In the forensic laboratory some samples are being examined under ultraviolet ray, the doctor notices blue white color of the sample. Which is the most probable content of the sample?
1. Semen
2. Urine
3. Pus
4. Leucorrhoea discharge

Correct answer: 1. Semen

Explanation: Ans. a. Semen (Ref: Reddy 33/e p434, 29/e p377-378: Parikh 6/e p7.26-7.27)In sexual offences, a preliminary examination under filtered ultraviolet light can be made.Stains of urine, vaginal discharge and seminal fluid show a bright fluorescence.The fluorescence of seminal stains is of a bluish-white colour and such stains are selected for further examinations.Examination of Seminal StainsPhysical Examination:A preliminary examination under filtered ultraviolet lightQ can be made.Stains of urine, vaginal discharge and seminal fluid show a bright fluorescence.The fluorescence of seminal stains is of a bluish-white colour and such stains are selected for further examinationsQ.Chemical Examination: Mnemonic - 'create A F B'Creatine Phosphokinase testQ: Depends on presence of CPKQ in semenAcid Phosphatase testQ: Depends on presence of acid phosphatase in semenFlorence testQ: Depends on presence of CholineQ in semen.Barberio's testQ: Depends on presence of SperminQ in semen.Microscopic examination:Involves identification of spermatozoa under microscope.Fluorescence microscopy is based on the principle that the Y-chromosome is fluorescence to quinacrineQ.Electrophoretic Methods:Acid-Phosphatase TestQLDH Isoenzyme TestQ